Regarding ACE inhibitor which of the following is true?
1. Inhibits conversion of angiotensinogen to angiotensin 1
2. T1/2 of enalapril is more than lisinopril
3. Omiting the diuretic dose helps in reducing first dose hypotension
4. It is effective only with left ventricular systolic dysfunction

Correct answer: 3. Omiting the diuretic dose helps in reducing first dose hypotension

Explanation: Ans. is 'c' i.e., Omiting the diuretic dose helps in reducing first dose hypotension If patient is on diuretics, omission of prior diuretic dose decreases the risk of postural hypotension. About other options o ACE inhibitors inhibit the conversion of angiotension Ito angiotension II. o Half life of enalapril is only 1.3 hour, while lisinopril has a half life of 12 hours. o Although the role of ACE inhibitors in left ventricular systolic dysfunction is firmly established whether these drug improve diastolic dysfunction is an important open question. Infusion of enalaprilat into left coronary arteries of patients with left ventricular hypertrophy significantly improves diastolic function.